FEV1/FVC is reduced in case of:
1. Pleural effusion
2. Lung fibrosis
3. Asthma
4. All of the above

Correct answer: 3. Asthma

Explanation: Ans. is 'c' Asthma. FEV/FVC is reduced in cases of obstructive lung diseases and remain normal or increase in case of restrictive lung disease.Asthma is an obstructive lung disease so FEV/FVC is reduced in it.